The characteristic esophageal manometry finding in achalasia cardia is:
1. Impaired lower esophageal sphincter relaxation and absent peristalsis
2. Impaired lower esophageal sphincter relaxation and increased peristalsis
3. Decreased lower esophageal sphincter pressure and absent peristalsis
4. Decreased lower esophageal sphincter pressure and increased peristalsis

Correct answer: 1. Impaired lower esophageal sphincter relaxation and absent peristalsis

Explanation: Achalasia is characterized by impaired lower esophageal sphincter (LES) relaxation and absent peristalsis. Esophageal manometry is the most sensitive test to diagnose achalasia. Ref: Harrisons Principles of Internal Medicine, 18th Edition, Page 2431